A patient of abdominal sepsis was started on empirical treratment with intravenous ampicilling and gentamicin. Regarding the treatment of this patient, which statement is most accurate?
1. Empirical treatment of abdominal sepsis should always include a third generation cephalosporin
2. A drug activbe against anaerobe should be included in the antibiotic regimen
3. Combination of ampicillin and gentamicin provides good coverage for all likely pathogens
4. If the patient is severely allergic to ampicillin, then ceftriaxone should be used

Correct answer: 2. A drug activbe against anaerobe should be included in the antibiotic regimen

Explanation: (Ref: KDT 6/e p741) Abdominal sepsis is a mixed type of infection caused by both aerobic and anaerobic organisms. Ampicillin and gentamicin will inhibit most of the aerobic organisms but these are not effective against anaerobic organisms. Therefore metronidazole or clindamycin should be included in the treatment regimen.